In which of the following sites do lymphocytes become immunocompetent?
1. Germinal center of secondary lymphoid nodules
2. White pulp of the spleen
3. Thymic cortex
4. Red pulp of the spleen

Correct answer: 3. Thymic cortex

Explanation: T lymphocytes mature and become immunocompetent in the cortex of the thymus, B lymphocytes mature and become immunocompetent in the bone marrow. After an antigenic challenge, lymphocytes proliferate and differentiate in various lymphoid tissues